Acute osteomyelitis is caused by
1. Staphylococcus aureus
2. Actinomyces bovis
3. Nocardia asteroids
4. Borelia vincenti

Correct answer: 1. Staphylococcus aureus

Explanation: It is caused most commonly by staphylococcus aureus Refer Maheshwari 6th/e p 168